Bromocriptine is indicated in the following conditions except ?
1. Prolactin -secreting adenomas
2. Prolactin deficiency
3. Amenorrhea - Galactorrhea
4. Acromegaly

Correct answer: 2. Prolactin deficiency

Explanation: Ans. is 'b' i.e., Prolactin deficiency Bromocriptine is used in :- Suppression of lactation in galactorrhea Cyclical mastalgia Induction of ovulation in anovulatory infertility caused by hyperprolactinemia Parkinsonism Acromegaly due to small pitutary tumours Hepatic coma Recently, it has been approved for treatment of type 2 DM.